Muscle attached to coracoid process -
1. Pectoral is major
2. Medial head of triceps
3. Short head of biceps
4. Long head of triceps

Correct answer: 3. Short head of biceps

Explanation: Ans. is 'c' i.e., Short head of biceps o Tip of the coracoid process gives origin to coracobracbialis (medially) and short head of the biceps. The upper surface receives insertion of pectoralis minor. There are 3 muscles that attach to the coracoid process of the scapula- the short head of the biceps, the pectoralis minor, and the coracobrachialis. All 3 can have an affect on the brachial plexus. The least known of the 3 is the coracobrachialis (CB). The CB flexes and adducts the humerus. The musculotaneous nerve, a branch of the brachial plexus, passes right through it. Therefore, if the CB is overly tight, that nerve can become impinged and send pain to the lower arm. Watch for an overworked CB when there is round forward posture and weakness in the scapular stabilizers. In NKT we are looking for muscles that over and underwork, determine their exact relationship, and make the appropriate corrections.